All are Socratic methods of Health communication except
1. Lecture
2. Panel discussion
3. Focus group discussion
4. Interpersonal communication

Correct answer: 1. Lecture

Explanation: Health communication One way Two way DIDACTIC SOCRATIC LECTURE Flannel graph Banner poster Chart pamphlet TV radio News print FGD PD Symposium Workshop SPIKES GATHER Role play Seminar Conference Demonstration Interpersonal communication